The scoring given in periodontal index for gingivitis is
1. 1
2. 2
3. 4
4. 6

Correct answer: 2. 2